Suture with least adhesion to tissues and high plasticity is:
1. Nylon
2. Prolene
3. Polyglycolate
4. PDS

Correct answer: 2. Prolene

Explanation: Polypropylene (prolene) is an extremely inert suture with a (low) tissue reactivity and good tensile strength comparable to nylon. It has a very slippery surface with low adherence to tissues. Its extreme smoothness does compromise knot security and extra knots are required to prevent loosening of the suture.